Hybrid muscle is-
1. Adductor longus
2. Adductor Magnus
3. Tibialis Anterior
4. Gluteus maximus

Correct answer: 2. Adductor Magnus

Explanation: Ans. is 'b' i.e., Adductor Magnus * Composite or hybrid muscles are those muscles which have more than one set of fibers but perform the same function and are usually supplied by different nerves for different set of fibers.COMPOSITE MUSCLENERVE SUPPLYDigastricAnterior bellyPosterior bellyNerve to mylohyoid (branch of mandibular)Facial nerveFlexor digitorum profundusMedial half by ulnar nerveLateral half by anterior interosseous branch of median nerveAdductor magnusAdductor partHamstring partObturator nerveTibial nerveBiceps femorisLong headShort headTibial nerveCommon peroneal nervePectineusAnterior fibresPosterior fibresFemoral nerveObturator nerveBrachialisRadial nerve (Proprioceptive)Musculocutaneous (Motor)Flexor pollicis brevisSuperficial head-median nerveDeep head-Deep branch of ulnar nervePectoralis major & minorMedial and lateral pectoral nerve.SubscapularisUpper & Lower Subscapular Nerves